Which of the mentioned drugs most commonly causes acute liver failure?
1. Warfarin
2. Tetracycline
3. Paracetamol
4. Valproate

Correct answer: 3. Paracetamol

Explanation: Ans. (c) i.e. ParacetamolRef: Goodman Gilman 13th E/P696* All mentioned drugs can cause hepatotoxicity and liver failure, but the most common drug overall implicated in drug poisoning and suicidal attempts is paracetamol.* Hence liver failure is most commonly seen with paracetamol. In case of fulminant liver failure liver transplantation is required.